A 45-year-old smoker patient presents with sudden onset unrelenting chest pain with loss of peripheral pulses. Lung fields are clear and has normal air entry. First differential diagnosis is?
1. Mirizzi's syndrome
2. Acute aortic syndrome
3. Acute pericarditis
4. Spontaneous pneumothorax

Correct answer: 2. Acute aortic syndrome

Explanation: Acute Aortic Syndrome- Chest pain + loss of peripheral pulses Mirizzi's syndrome - Common hepatic duct obstruction caused by extrinsic compression from an impacted stone in cystic duct or infundibulum of gall bladdder. Acute pericarditis Diffuse chest pain at rest for hours - days Radiation to left shoulder (Phrenic nerve involvement) Relief: - on sitting Pericardial friction rub heard on auscultation Spontaneous pneumothorax Absent air entry. Hyper resonant lung. More blackening. Decreased breath sounds.